About emphysema True is?
1. Frequently associated with obstructive sleep apnea
2. Destruction and enlargement of the lung alveoli
3. Centriacinar more prominent in lower lobes
4. Not a component of COPD

Correct answer: 2. Destruction and enlargement of the lung alveoli

Explanation: (B) Destruction and enlargement of the lung alveoli # EMPHYSEMA is characterized by destruction and enlargement of lung alveoli.> Included in COPD. It includes centriacinar & panacinar types.> Centriacinar is most prominent in upper lobe & superior segments of lower lobes.